Sodium fluoride is a good in-vitro preservative of glucose in blood samples because it inhibits:
1. Enolase
2. Hexokinase
3. Phosphofructokinase
4. Pyruvate dehydrogenase

Correct answer: 1. Enolase

Explanation: Ans. (a) EnolaseRef: Harper's Biochemistry, 30 edn. pg. 170-171th* Enolase, also known as phosphopyruvate hydratase, is a metallo-enzyme responsible for the catalysis of the conversion of 2-phosphoglycerate to phosphoenol pyruvate, the ninth and penultimate step of glycolysis.* If the sample for blood glucose is kept for some time, the Red blood cells will start consuming the sugar available and hence the final report shall be lower than actual.* Sodium flouride shall inhibit enolase and ensure an accurate result.